Laryngeal Papillomatosis is caused by
1. HPV
2. EBV
3. CMV
4. HSV

Correct answer: 1. HPV

Explanation: Laryngeal papillomata These are rare benign tumours occurring mainly in children, but can also present in adults. They are most commonly found on the vocal folds, but may spread throughout the larynx and tracheobronchial airway (although this is less likely in adults). They are caused by papillomaviruses andneed repeated removal by carbon dioxide laser or microsurgery to maintain a reasonable voice and airway. These patients are best managed in specialist centres, with the appropriate expertise. Antiviral treatment is of doubtful value. Papilloma vaccination is, to date, of unproven benefit. Ref: Bailey and love 27th edition Pgno : 750